Most prominent feature of Angle class II div. 2 is:
1. Lingually placed maxillary central incisors
2. Labially placed maxillary central incisors
3. Large overbite
4. High palatal vault

Correct answer: 1. Lingually placed maxillary central incisors